Budd- chiari syndrome is characterised by all except
1. Fatty liver
2. Hepatomegaly
3. IVC obstruction
4. Hepatic vein obstruction

Correct answer: 1. Fatty liver

Explanation: Hepatic Vein Thrombosis (Budd-Chiari Syndrome) The Budd-Chiari syndrome results from the thrombosis of one or more major hepatic veins or inferior vena cava. characterized by triad of hepatomegaly, ascites, and abdominal pain. Hepatic vein thrombosis is associated with myeloproliferative disorders (especially polycythemia vera), pregnancy, the postpartum state, the use of oral contraceptives, paroxysmal nocturnal hemoglobinuria, and intra-abdominal cancers, particularly hepatocellular carcinoma. All of these conditions produce thrombotic tendencies or, in the case of liver cancers, sluggish blood flow. Some cases are caused by mechanical obstruction to blood outflow, as by a massive intrahepatic abscess or parasitic cyst, or by obstruction of the inferior vena cava at the level of the hepatic veins by thrombus or tumor. About 10% of cases are idiopathic. TEXT BOOK OF ROBBINS BASIC PATHOLOGY NINTH EDITION PAGE NO.634 IMAGE REF: ROBBINS BASIC PATHOLOGY NINTH EDITION FIG:15-29 PAGE 634